Drug of choice for prophylaxis of TB is ?
1. Rifampicin
2. Isoniazid
3. Pyrizinamide
4. Streptomycin

Correct answer: 2. Isoniazid

Explanation: Ans. is 'b' i.e., Isoniazid o Isoniazid is the drug of choice for prophylaxis of TB.